Secondary hemochromatosis is associated with all except:
1. Thalassemia
2. Sideroblastic anemia
3. Multiple blood transfusions
4. Paroxysmal nocturnal hemoglobinuria

Correct answer: 4. Paroxysmal nocturnal hemoglobinuria

Explanation: Anemia that stems from ineffective hematopoiesis is associated with inappropriate increases in iron absorption from the gut, which can lead to iron overload (Secondary hemochromatosis) with consequent damage to endocrine organs and the heart. Secondary hemochromatosis seen in - Thalassemia Sideroblastic anemia Multiple blood transfusions